Orbital blow-out fracture involves:
1. Lateral wall and floor of orbit
2. Medial wall and floor or orbit
3. Lateral wall and roof or orbit
4. Medial wall and roof or orbit

Correct answer: 2. Medial wall and floor or orbit

Explanation: Ans. Medial wall and floor or orbit